"Phantom calyx/Amputated calyx" on IVU is feature of?
1. Tuberculosis
2. Hydronephrosis
3. Bilharziasis
4. UPJ obstruction

Correct answer: 1. Tuberculosis

Explanation: Ans. A. TuberculosisEarly renal tb: IVUAdvanced renal tb: CTRadiologic findings in renal tb include:a. Urographic demonstration (ivu) of diminished excretion of the contrast medium, focally or generally.b. Poorly defined one or more calyces.c. Cavitation communicating with the pc system, demonstrable by urography or retrograde pyelography. The irregular cavities may be multiple.d. Cortical scarring with abnormality of underlying calyces, similar to the changes of chronic pyelonephritis.e. Mass lesions due to tuberculoma.f. Dilatation of pc system due to parenchymal destruction or strictures. Ureteral strictures result in generalized pyelocaliectasis. Infundibular (calyceal neck) stretching and strictures result in localized hydrocalycosis.g. Calcification in the renal parenchyma, usually of a granular, mottled type. However, linear or ring calcification or homogenous amorphous collection are seen. The calcification rims outlining the periphery of distorted renal lobes is unique.h. Autonephrectomy/putty kidney.i. Ureteric tuberculosis -i. Produces mucosal and wall ulceration, fibrosis, stricture and calcificationii. "saw-tooth or cork-screw" ureteriii. Beaded ureter, short, straight, rigid and narrow ureter especially terminal segmentiv. Calcification is, however, rare in ureteral tuberculosis and when occurs involves lower segmentj. Symmetrical small spastic, and thickened bladder or small multilobular bladder (thimble bladder).